Weber Fechner law is related with :
1. Amplitude
2. Surface area
3. Number of sensory fibre involvement
4. Stimulus discrimination

Correct answer: 4. Stimulus discrimination

Explanation: D i.e. Stimulus discrimation